Treatment of peritonsillar abscess is:
1. Abscess tonsillectomy
2. Conservative treatment
3. Drainage by Hilton's method
4. Abscess drainage and interval tonsillectomy

Correct answer: 4. Abscess drainage and interval tonsillectomy

Explanation: Ans: D (Abscess drainage and interval tonsillectomy) Ref: Diseases of the Ear Nose and Throat by PL Dhingra.5th edn .20I0.pg279Explanation:Peritonsillar abscessAlso called as QuinsyPus collects between the capsule of the tonsil and the superior constrictorMixed infection of aerobes and anaerobesMore common in adultsPresents with fever, odynophagia muffled or hot potato voice, halitosis, trismusO/E unilateral tonsillar enlargement with congestion seen, pushing the uvula to the opposite side, enlarged and tender jugulodigastric nodes.Treatment is incision and drainage at the most prominent point or the junction of anterior pillar with the line drawn from the base of uvulaCan lead to parapharyngeal abscess